Which of the following systems can be used to produce PEEP
1. Spring system
2. Ball valve system
3. Pneumatic system
4. All the above

Correct answer: 4. All the above